The density of lipoproteins increases as the protein content:
1. Increases
2. Decreases
3. Highly decreases
4. Slightly and promptly decreases

Correct answer: 1. Increases

Explanation: Ans. A. IncreasesThe density is inversely proportional to triacylglycerol content and is directly proportional to the protein content.PropertyChylomicronsVLDLIDLLDLHDLDiameter(nm)100-50030-8025-3520-355-10Density(kg/l)<0.95<1.0061.006-1.0191.019-1.063>1.063ElectrophoresisStay at originPre-bbba-1Phospholipid510152025Cholesterol520405035Protein15102025Triglyceride906535105